The Index developed by Loe H and Silness P does not help to:
1. Assess the severity of gingivitis.
2. Identify the location of gingival inflammation.
3. Examine the qualitative changes of the gingival soft tissue.
4. Distinguish between groups with mild and moderate gingivitis.

Correct answer: 4. Distinguish between groups with mild and moderate gingivitis.

Explanation: GINGIVAL INDEX (Gl) 
The Gingival Index (Gl) was developed by Loe H and Silness P in 1963, solely for the purpose of assessing the severity of gingivitis and its location in four possible areas by examining only the qualitative changes (i.e., severity of the lesion) of the gingival soft tissue. This index shows good validity, reliability, and ease of use. However, although this index has demonstrated sufficient sensitivity to distinguish between groups with mild and severe gingivitis, it may not discriminate as well between the middle ranges.